Which of the following secretes histamine
1. Eosinophil
2. Basophil
3. Neutrophil
4. Monocyte

Correct answer: 2. Basophil

Explanation: Histamine is produced by many cell types, particularly mast cells adjacent to vessels, as well as circulating basophils and platelets. ref robbins basicpathology 9th ed page 46